Which of the following is the most common etiological agent in paranasal sinus mycoses ?
1. Aspergillus spp
2. Histoplasma
3. Conidiobolus coronatus
4. Candida albicans

Correct answer: 1. Aspergillus spp